Ritter's disease is caused by:
1. S. aureus
2. S. epidermidis
3. S. albus
4. S. saprophyticus

Correct answer: 1. S. aureus

Explanation: Ans. a. S. aureusStaphylococcal Scalded Skin SyndromeAlso known as Ritter's diseaseDue to an epidermolytic toxin produced by Staphylococcus aureusBlister level is in the stratum granulosumStarts with a prodrome of fever and irritability, followed by an erythematous macular rash over flexures and faceLeaves behind erosions over these sitesErosions heal rapidly due to the superficial level of splitNikolsky +veTreated with systemic antibiotics